Causes of face presentation:
1. Anencephaly
2. Prematurity
3. Contracted pelvis
4. All

Correct answer: 4. All

Explanation: Ans. is a, b and c i.e. Anencephaly, Prematurity; and Contracted pelvis